All of the following drugs causes hirsutism except:
1. Phenytoin
2. Flutamide
3. Norethindrone
4. Danazol

Correct answer: 2. Flutamide

Explanation: Phenytoin has various adverse effects like hirsutism, hyperglycemia, osteomalacia, gum hyperplasia etc Norethindrone a progestin derivative has various adverse effects like breast enlargement, hirsutism, and hyperglycemia. Danazol is an antiandrogen with side effects like hirsutism, amenorrhea etc Flutamide is androgen receptor antagonist. Hirsutism occurs due to excess testosterone like effects .so this effect is not seen with antiandrogen like flutamide. ESSENTIAL of medical PHARMACOLOGY SEVENTH EDITION-KD TRIPATHI Page:413,414,301,858,318